Crypta Magna is the remnant of
1. First Pharyngeal pouch
2. Second Pharyngeal pouch
3. Third pharyngeal pouch
4. Fourth pharyngeal pouch

Correct answer: 2. Second Pharyngeal pouch

Explanation: Medial surface of each tonsil has 15-20 crypts, the largest of which is called Intratonsillar cleft or crypta Magna (which represents the persistence of the ventral portion of the second pharyngeal pouch)'.Ref: PL Dhingra, Diseases of Ear, Nose & Throat, 7th edition, pg no. 291